ICD - 10 code in XXI includes all except
1. Lack of exercise
2. Alcoholism
3. Poisoning
4. Unhealthy found

Correct answer: 3. Poisoning

Explanation: Chapter XXI includes factors influencing health status and contact with health services Ref : Park's textbook of preventive and social medicine; 23rd edition - page no 50